Salpingitis/Endosalpingitis is best confirmed by:
1. Hysteroscopy and laparoscopy
2. X-ray
3. Hysterosalpingography
4. Sonosalpingography

Correct answer: 1. Hysteroscopy and laparoscopy

Explanation: Ans. is a, i.e. Hysteroscopy and laparoscopyRef: Shaw 15th/ed, p451; William's Gynae 1st/ed, p74; Gynecology by Ostrzenski (Lippincott Williams 2(X)l/282); Dutta Gynae 6th/ed, p130Laparoscopy is considered the "gold standard". While it is the most reliable aid to support the clinical diagnosis but it may not be feasible to do in all cases. It is reserved only in those cases in which differential diagnosis includes salpingitis, appendicitis or ectopic pregnancy. Nonresponding pelvic mass needs laparoscopic clarification.Hysterscopy may also provide confirmatory evidence for salpingitis."Fallopian tube culture can be obtained laparoscopically and recently the hysteroscopic approach has been introduced. The specimen is obtained during hysteroscopy with a cytobrush." - Ref: Gynecology by Ostrzenski (Lippincott Williams) (200l)/282Also KnowSince laparoscopy is an invasive procedure for diagnosis of salpingitis/PID, diagnosis should first be made clinically.